Which of the following streptococcal antigen cross reacts with synovial fluid?
1. Carbohydrate (group A)
2. Cell wall protein
3. Capsular hyaluronic acid
4. Peptidoglycan

Correct answer: 3. Capsular hyaluronic acid

Explanation: Antigens cross reactivity between Streptococcus antigens and the corresponding human antigen Streptococcal component Human tissue Capsular hyaluronic acid Synovial fluid Cell wall protein Myocardium Group A carbohydrate Cardiac valves Cytoplasmic membrane antigen Vascular intima Peptidoglycans Skin antigens